In autopsy, which organ is removed with liver?
1. Kidney
2. Stomach
3. Brain
4. Spleen

Correct answer: 2. Stomach

Explanation: LIVER is removed by itself or attached to the stomach and the duodenum when bile ducts are to be examined.